Snow banking is typically seen in:
1. Pars planitis
2. Endophthalmitis
3. Coat's disease
4. Eale's disease

Correct answer: 1. Pars planitis

Explanation: A i.e. Pars planitis Pars planitis (intermediate uveitis) presents with snow ball opacities Q which coalesce to form a grey white plaque called snow banking Q